Type of cataract in chalicosis is -
1. Sunflower cataract
2. Blue dot Cataract
3. Snowflake cataract
4. Polychromaticlustre

Correct answer: 1. Sunflower cataract